Remnants of the Hertwig's root sheath are found in
1. Gingiva
2. Alveolar bone
3. Periodontal ligament
4. Cementum

Correct answer: 3. Periodontal ligament